The extraction of which of the following is most
difficult in maxillary arch
1. Lateral incisor
2. First premolar
3. Second premolar
4. Canine

Correct answer: 2. First premolar